An ABG analysis shows : pH 7.2, raised pCO2, decreased HCO3; diagnosis is
1. Respiratory acidosis
2. Compensated metabolic acidosis
3. Respiratory and metabolic acidosis
4. Respiratory alkalosis

Correct answer: 3. Respiratory and metabolic acidosis

Explanation: pH < 7.35 : acidosisraised PCO2 : respiratory component is primarydecreased HCO3- : this is also primarytherefore acid base disorder is both respiratory and metabolic acidosisRef: Harrison's 18/e p364 Table 47-2